A patient receives a toxic dose of lignocaine i.v., the patient is likely to exhibit :
1. Excessive salivation
2. Mydriasis and diarrhea
3. Respiratory paralysis
4. Seizures and coma

Correct answer: 4. Seizures and coma